True about Crohn's disease except
1. Recurrence is more common
2. Rectum is involved
3. Fissures are formed
4. Transmural

Correct answer: 2. Rectum is involved

Explanation: Crohn's disease (CD) Rectal sparing is characteristic in Crohn's disease. Chronic Transmural inflammatory disorder of GIT with unknown etiology - Can involve any part - From mouth to Anus - MC sites involved Ileum Ileocecal valve Cecum - Upper GI Crohn's disease has involvement of - Gastric antrum & Duodenum